The velocity of conduction in the Purkinje fibers of the heart is
1. 1 to 4 m/sec
2. 5 to 8 m/sec
3. 9 to 12 m/sec
4. More than 12 m/sec

Correct answer: 1. 1 to 4 m/sec